Tentative cut is indicative of -
1. Homicide
2. Accidental
3. Suicidal
4. Fall from height

Correct answer: 3. Suicidal

Explanation: Hesitation cuts (Tentative cuts or trial cuts) are characteristic features off suicidal attempt.